Short acting mydriatic used in fundoscopy is:
1. Atropine
2. Homatropine
3. CycIopentolate
4. Tropicamide

Correct answer: 4. Tropicamide

Explanation: Ref:KD Tripathi pharmacology 6th edition (page.no: 111) Tropicamide has the quickest (20-40 min) and briefest (3--6 hours) action but is a relatively unreliable cycloplegic. However, it is satisfactory for refraction testing in adults and as short acting mydriatic for fundoscopy. in children, atropine ointment is used for fundoscopy as the ciliary tone is high among them.